17-a hydroxylase is not involved in the pathway for synthesis of ?
1. Cortisol
2. Aldosterone
3. Androsteredione
4. Testosterone

Correct answer: 2. Aldosterone

Explanation: Ans. is 'b' i.e., Aldosterone